Causes of raised J.V.P. with hypotension are all except -
1. Cardiac tamponade
2. Right ventricular M.I.
3. Heart failure
4. 2nd Degree A.V. block

Correct answer: 4. 2nd Degree A.V. block

Explanation: Causes of raised JVP with hypotension: Cardiac tamponade Right ventricular MI Right heart failure Constrictive pericarditis Restrictive cardiomyopathy Ref Harrisons internal medicine 20 e pg 1533 Topic Jugular venous pressure